According to WHO, membranous glomerulonephritis seen in SLE, is -
1. Class II
2. Class III
3. Class IV
4. Class V

Correct answer: 4. Class V

Explanation: Ans. is 'd' i.e., Class V